Braxton -- Hicks contractions :
1. Is a positive feedback system
2. Is another terms for labor contraction
3. Occur during most of the months of pregnancy
4. Result in hypoxia of the fetus

Correct answer: 3. Occur during most of the months of pregnancy

Explanation: Occur during most of the months of pregnancy